All the following Lipidoses are inherited as Autosomal Recessive Except
1. Fabry
2. Krabbe
3. Gaucher
4. Taysachs

Correct answer: 1. Fabry

Explanation: FABRY DISEASE This disease is an X-linked inborn error of glycosphingolipid metabolism caused by the absent or markedly deficient activity of a-galactosidase A (a-gal A).Reference: Nelson Textbook of Paediatrics; 20th edition; Chapter 86; Defects in Metabolism of Lipids